C.S.F. is required to be preserved in -
1. Alcoholic poisoning
2. Arsenic poisoning
3. Copper poisoning
4. Organophosphorus poisoning

Correct answer: 1. Alcoholic poisoning

Explanation: For alcohol poisoning, blood, CSF, vitreous humor and urine are preserved with using fluoride as a preservative.